Actinic keratosis is associated with –
1. Basal cell carcinoma
2. Squamous cell carcinoma
3. Malignant melanoma
4. Epithelial cell carcinoma

Correct answer: 2. Squamous cell carcinoma

Explanation: Acnitic keratosis may progress to invasive squamous cell carcinoma.